In a case of secondary amenorrhoea who fails to get withdrawal bleeding after taking estrogen and progesterone, the fault lies at the level of :
1. Pituitary
2. Hypothalamus
3. Ovary
4. Endometrium

Correct answer: 4. Endometrium

Explanation: Endometrium